All of the following are tuning fork tests to differentiate hearing loss, EXCEPT:
1. Schwabach test
2. Gelles test
3. Burn's test
4. Rinne test

Correct answer: 3. Burn's test

Explanation: Tuning fork tests: Rinne's test Weber test Absolute bone conduction (ABC) test Schwabach's test Bing test Gelle's test Common tuning fork tests and their interpretation: Test Normal Conductive deafness SN deafness Rinne AC>BC (Rinne positive) BC>AC (Rinne negative) AC>BC Weber Not laterized Laterized to poorer ear Laterized to better ear ABC Same as examiner's Same as examiner's Reduced Schwabach's Equal Lengthened Shortened